Thoracic duct does not drains ?
1. Right upper part of body
2. Left upper part of body
3. Right lower part of body
4. Left lower part of body

Correct answer: 1. Right upper part of body

Explanation: Ans. is 'a' i.e., Right upper part of body Thoracic duct Thoracic duct is also called as Pecquet duct. It is the largest lymphatic duct in body, about 45 cm (18 inches) long. It has a beaded appearance because of the presence of many valves in its lumen. Thoracic duct begins as a continuation of the upper end of the cisterna chyli near the lower border of T12 vertebra and enters the thorax through the aortic opening of diaphragm (at T12). It then ascends through the posterior mediastinum and at T5 level crosses from right side to the left side and ascends along left margin of oesophagus to enter the neck. At the level of C7 vertebrae, arches towards left side to open into left brachiocephalic vein at the angle of union of left subclavian and left internal jugular veins. Thoracic duct receives lymph from both halves of the body below the diaphragm and the left half above the diaphragm. Its tributaries are :- Right and left lumbar trunk. In thorax :- Posterior mediastinal nodes, small intercostal lymph nodes. In Neck :- Left jugular trunk, left subclavian trunk and left bronchomediastinal trunk.